All of the following are true regarding Raynaud's phenomenon except:
1. It involves acral parts of fingers
2. Migratory thrombophlebitis exclusive for Raynaud's phenomenon
3. Drugs acting by inhibiting the beta-receptors in blood vessels also play a role
4. Emotional stress may also precipitate Raynaud's phenomenon

Correct answer: 2. Migratory thrombophlebitis exclusive for Raynaud's phenomenon

Explanation: Migratory thrombophlebitis is seen in: Raynaud's phenomenon Buerger's Disease Malignancies like Ca Pancreas-known as Trousseau Syndrome RAYNAUD'S PHENOMENON- It is episodic digital ischemia* On exposure of cold* Emotional stress* Use of vibrating tools- Manifested by - Sequential development of digital blanching, cyanosis and redness offingers and toes Sequence of EventsBlanching (Stage of local syncope)|Cyanosis (Stage of local asphyxia)|Redness (Stage of Recovery)BlanchingExposure of cold|Spasm of digital arterioles|Digits appear white CyanosisCapillaries & Venules dilates|Collection of deoxygenated blood|CyanosisRednessResolution of digital spasm|Increased blood flow in dilated arteries and capillaries|Bright red colour of digits Clinical features- Most common in Fingers > Toes- Radial, ulnar and pedal pulses are normalTypes1. Primary (Idiopathic) / Raynaud's disease2. SecondaryTreatment - To relieve spasm - Calcium channel blockers* Diltiazem* Nifedipine